All except one is true regarding minimum alveolar concentration
1. Lower the MAC, higher the potency
2. Rate of induction depends on MAC
3. Nitrous oxide has MAC value of 104  and thus is least potent
4. Methoxy flurane has lowest MAC value

Correct answer: 2. Rate of induction depends on MAC

Explanation: Rate of induction depends on Blood gas partition coefficient.